Which of the following is not included in the calculation of Human Poverty Index-1 (HPI-1)?
1. Adult literacy rate
2. % of children underweight for age
3. % of population not using an improved water source
4. Combined gross enrolment ratio

Correct answer: 4. Combined gross enrolment ratio

Explanation: HPI-1 measures deprivation in 3 basic dimensions Probability of birth not surviving to age 40 Adult literacy rate % of children underweight for age % of population not using an improved water source Ref: Park, 21st Edition, Page 17.